Most common infecting organism responsible for boils on face is-
1. Streptococcus
2. Staphylococcus
3. Pseudomonas
4. None of the above

Correct answer: 2. Staphylococcus

Explanation: Ans is 'b' i.e. Staphylococcus * Boils anywhere in the body are most commonly caused by staphylococcus.Common bacterial infection of skin (pyoderma)1) By staphylococcus aureus - Bullous impetigo, impetigo contagiosa, Ecthyma, Supetficial and deep folliculitis (boils), Furuncle, Carbuncle.2) By streptococcus pyogenes - Impetigo contagiosa, Ecthyma, Erysipelas, Cellulitis.* Impetigo contagiosa, and ecthyma are caused by both staphylococci and streptococci.